Vitamin K carboxylates
1. Aspartate
2. Glutamate
3. Tyrosine
4. Tryptophan

Correct answer: 2. Glutamate

Explanation: The vitamin K-dependent (VKD)3carboxylase is a bifunctional enzyme that catalyzes the oxygenation of vitamin Khydroquinone, resulting in formation of vitamin K epoxide, in parallel with the carboxylation of multipleglutamate (Glu) residues in vitamin K-dependent proteins Ref ganong's review of medical physiology 25e